Intravenous Mannitol is indicated in
1. Normal tension glaucoma
2. Acute angle closure glaucoma
3. Sympathetic ophthalmitis
4. Primary Open angle glaucoma

Correct answer: 2. Acute angle closure glaucoma

Explanation: * Iv mannitol is an hyperosmotic agents which acts by increasing the osmotic pressure in the plasma thereby imbibing water from the vitreous . Indications:- * Acute rise in IOP --> Primary angle closure glaucoma, Secondary angle closure glaucoma , Posner Schlossman syndrome * In the pre-operative period to reduce IOP in case of lens induced glaucomas, trabeculectomy, etc. Dosage:- * 1-2 mg /kg body weight ; 20% solution Adverse Effects:- * Volume overload in cardiac patients * Increase in BP Other Hyperosmotic Agents: - * Glycerol - increases blood glucose, Contraindicated in Diabetics. * Urea - not routinely used * Isosorbide Ref:- Parson's Diseases of the eye 22nd edition; pg num:- 53,76